Which of the following is not associated with prolonged QT syndrome?
1. Romanowald syndrome
2. Jervell and Lange Neilsen syndrome
3. Encainide therapy
4. Lidocaine therapy

Correct answer: 4. Lidocaine therapy

Explanation: Ans. is 'd' i.e., Lidocaine therapy* The Long QT syndrome refers to specific congenital or acquired abnormalities of repolarization that result in prolongation of the QT interval.* The significance of the long QT syndrome is its association with the development of a specific type of ventricular tachycardia called Torsades de points or polymorphic ventricular tachycardiaQ.* This arrythmia is characterized by# A wide complex tachyarrythmia with QRS complexes of varying axis and morphology that appear to rotate around the iso electric baseline.Conditions associated with prolonged QT syndromeCongenital* Romanowald syndrome* Jervell and lange Nielse syndrome* T/T = b Blockers--Normal hearingSensorineural hearingAcquired* Antiarrythmic drugs# IA# IC# III---Quinidine, procainamide, DisopyramideEncainide, FlecainideSotatol, Amiodarone* TCA'S* Antibiotics (macrolides, cotrimoxazole)* Terfenadine (when combined with macrolides or antifungal)Metabolic* Hypokalemia* Hypocalcemia* HypomagnesemiaT/T of acquired prolonged QT syndrome* Atrial or ventricular overdrive pacing* Magnesium